Hypothyroidism with increased TSH level is seen in All Except
1. Sheehan's syndrome
2. Lithium carbonate therapy
3. Post radioiodine ablation
4. Endemic goitre

Correct answer: 1. Sheehan's syndrome

Explanation: Sheehan’s syndrome causes hypopituitarism leading to decreased TSH.